Tenderness is uncommon in –
1. Herpes genitalis
2. Chancroid
3. Donovanosis
4. All of the above

Correct answer: 3. Donovanosis

Explanation: Pain & tenderness  →  HSV, Chancroid
Painless & without tenderness →  LGV, donovanosis, chancre.